Which of the following includes inflammatory bowel disease in children – a)  Coeliac diseaseb)  Tropical spruec)  Regional ileitisd)  Cystic fibrosise) Ulcerative colitis
1. ce
2. b
3. ac
4. ae

Correct answer: 1. ce

Explanation: Inflammatory bowel disease

Inflammatory bowel disease (IBD) is used to represent two distinct disorders of idiopathic intestinal inflammation :


Crohn disease or regional ileitis &                                        
Ulcerative colitis